True statement about p53 gene are all except
1. Arrests cell cycle at G1 phase
2. Product is 53kD protein
3. Located on chromosome 17
4. Wild/ non mutated form is associated with increased risk of childhood tumors

Correct answer: 4. Wild/ non mutated form is associated with increased risk of childhood tumors

Explanation: Ref Robbins 7/e p302-303, Harrison 17/e p499-500 8/e p290-292;9/e p294 P53 gene is a tumor suppressor gene also known guardian of the genome .located on short arm of chromosome 17.Its wild / non mutated form is associated with reduced risk of tumors